NOT an immune complex hypersensitivity reaction:
1. Good pasture syndrome
2. SLE
3. Arthus reaction
4. Post-streptococcal glomerulonephritis

Correct answer: 1. Good pasture syndrome

Explanation: Ans. A i.e. Goodpasture syndrome Goodpasture's syndrome is a type II hypersensitivity-like reaction